All are true about secretin except
1. Inhibits gastric emptying
2. Increases bicarbonate rich pancreatic secretion
3. Potentiates action of CCK
4. | ses bile salt & bile acids

Correct answer: 4. | ses bile salt & bile acids

Explanation: Actions of secretin: Increases bicarbonate-rich pancreatic secretion. Stimulates bile secretion. Potentiates effect of CCK on pancreas. It causes contraction of pyloric sphincter delaying gastric emptying. Ref: Medical physiology, Indu Khurana